In JVP y descent is absent and X wave is prominent? Thiscsuggests:
1. Restictive cardiomyopathy
2. Cardiac tamponade
3. Constrictive pericarditis
4. Right Ventricular Failure

Correct answer: 2. Cardiac tamponade

Explanation: Ans. (b) Cardiac tamponadeRef.: Harrison 19th ed. /1573JVP FindingsJVP WavesFindingsConstrictive pericarditisFindingsCardiac tamponadeX waveProminentProminentY waveProminentAbsent